Most common site for Krukenberg tumour is :
1. Breast
2. Lung
3. Stomach
4. Large bowel

Correct answer: 3. Stomach

Explanation: Stomach